Which one of the following pulses has the highest content of iron –
1. Bengal gram
2. Black gram
3. Red gram
4. Soyabean

Correct answer: 4. Soyabean

Explanation: Only Bengal gram contains Vitamin C among the common pulses